Cullen's sign is seen in
1. Acute cholecystitis
2. Acute pancreatitis
3. Acute hemorrhagic pancreatitis
4. Blunt injury abdomen

Correct answer: 3. Acute hemorrhagic pancreatitis

Explanation: Signs indicative of retroperitoneal bleeding in severe pancreatitis Flank ecchymosis - Grey Turner sign Periumbilical ecchymosis- Cullen's sign Inguinal ecchymosis - Fox sign Ref: Sabiston 20th edition Pgno : 1527